Which of the following is the most common presenting symptom of non-cirrhotic portal hypertension
1. Chronic liver disease
2. Ascites
3. Upper gastrointestinal bleeding
4. Encephalopathy

Correct answer: 3. Upper gastrointestinal bleeding

Explanation: Chronic liver disease, ascites and encephalopathy are all features of cirrhotic liver.
Non-cirrhotic portal hypertension presents most commonly with variceal bleeding